This drug depolarizes cell membranes of aerobic gram-positive bacteria. It is effective against vancomycin-resistant enterococcal infections. It may cause myopathy especially in patients taking statins. It is :
1. Teicoplanin
2. Daptomycin
3. Linezolid
4. Streptogramin

Correct answer: 2. Daptomycin